True about Octreotide:
1. Is active orally
2. Is not a somatostatin analogue
3. Used in secretory diarrhea
4. Is a growth hormone agonist

Correct answer: 3. Used in secretory diarrhea

Explanation: Octreotide is a synthetic octapeptide with actions similar to somatostatin.
Routes of administration:

- Intravenous (v. short duration of action)
- Subcutaneous
- Intramuscular (depot preparation)

It is 40 times more potent than somatostatin in suppressing GH secretion.
It is being preferred over somatostatin for acromegaly and secretory diarrheas associated with carcinoid, AIDS, cancer chemotherapy or diabetes.

Uses
Based on properties of inhibiting secretion of various hormones (GH, TSH, PL, insulin, glucagon), all gi secretions (including gastrin & HCI) and constriction of splanchnic, hepatic and renal blood vessels.

Carcinoid and VIP om a induced secretory diarrhea and systemic symptoms such as flushing and wheezing.
Diarrhea due to vagotomy and dumping syndrome, short bowel syndrome or AIDS.
GI bleeding  
Pancreatic fistula, insulinoma, glucagonoma, pancreatic ascites
Oncogenic osteomalacia
Acromegaly

Adverse effects: Abdominal pain, nausea, steatorrhoea, diarrhea, gall stones.